Vibrating line is on the
1. Hard palate
2. Junction of hard and soft palate
3. On soft palate
4. At the junction of muscularis uvulae and palatine muscle

Correct answer: 3. On soft palate